the mitochondrial enzyme involved in the metabolism of clopidorgel and proton pump inhibitors is
1. CYP 2A
2. CYP 2B
3. CYP 2C19
4. CYP 2C20

Correct answer: 3. CYP 2C19

Explanation: clopidogrel and proton pump inhibitors are metabolized mainly by CYP2C19 and CYP3A4.Due to this reaason there is potential of interaction between two drugs. Ref-katzung 13/e p80